Haemochromatosis affects all of the following organs Except
1. Liver
2. Pancreas
3. Heart
4. Salivary glands

Correct answer: 4. Salivary glands

Explanation: Organs most commonly affected byhaemochromatosis are the liver, heart, and endocrine glands. Haemochromatosis may present with the following clinical syndromes: Chronic liver disease and cirrhosis of the liver. Heart involvement: heart failure, irregular heart rhythm. Iron overload indicates accumulation of iron in the body from any cause. The most important causes are hereditary haemochromatosis (HHC), a genetic disorder, and transfusional iron overload, which can result from repeated blood transfusions Ref harshmohan 7/e pg 17-18